A 15 cms X 15 cms ovarian cyst has been diagnosed in an 8 weeks pregnant lady. Further Management includes:
1. Only follow up without surgical intervention
2. Laparotomy at 14-16 weeks
3. Cesarean delivery and ovariotomy at term
4. Surgery after delivery

Correct answer: 2. Laparotomy at 14-16 weeks